After adding Drug A to an enzyme - substate reaction, Km remains same and Vmax decreases.
 Drug A is a
1. Competitive antagonist
2. Non competitive antagonist
3. Agonist
4. None of the above

Correct answer: 2. Non competitive antagonist

Explanation: In Non competitive Antagonism: Km remains same, Vmax decreases.
In Competitive Antagonism: Km increases, Vmax remains same.